A newborn presents in emergency in a state of shock. Which is the ideal fluid to be given to the newborn?
1. Normal saline
2. Dextrose 5%
3. Ringer lactate
4. Dextrose 25%

Correct answer: 1. Normal saline

Explanation: a. Normal saline(Ref: Nelson's 20/e p 846)For a newborn in shock, supportive treatment with type O Rh-negative blood or normal saline is indicated for hemorrhage or hypovolemia, respectively.